Epigenetics is ?
1. Alteration in nucleotide sequence
2. Alteration in chromosome number
3. Alteration in gene expression
4. Alteration in chromosome size

Correct answer: 3. Alteration in gene expression

Explanation: Ans. is 'c' i.e., Alteration in gene expression Epigenetics is a heritable change in the level of gene expression, not caused by changes in DNA sequence. It includes changes like Histone modification or DNA methylation